Liver cirrhosis is associated with which type of emphysema in Pizz phenotype mutation?
1. Centriacinar
2. Panacinar
3. Paraseptal
4. Multifocal

Correct answer: 2. Panacinar

Explanation: In individuals with the Pizz phenotype, alpha 1 antitrypsin deficiency, its blood levels are less than 15% of normal, and patients are likely to develop panacinar emphysema at a young age; 50% of these patients will develop liver cirrhosis, because the A1AT is not secreted properly and instead accumulates in the liver. A liver biopsy in such cases will reveal PAS-positive, diastase-resistant granules.